Anti-diabetic effect of sulfonylureas is by reducing:
1. Glucagon production
2. Insulin secretion
3. Tissue sensitivity to insulin
4. Tissue sensitivity to glycogen

Correct answer: 1. Glucagon production

Explanation: Ans. (A) Glucagon production(Ref: KDT 8/e p294)Sulfonylureas act byIncreasing insulin release from pancreas (not by decreasing insulin secretion), so 'option b' ruled out.A minor action reducing glucagon and increasing somatostatin release has been demonstrated.